A child presented with intermittent episodes of left sided flank pain. Ultrasonography reveals a large hydronephrosis with dilated renal pelvis and cortical thinning with a normal ureter. Kidney differential function was observed to be 19% which of the following is the best management:
1. Nephrectomy
2. Pyeloplasty
3. External Drainage
4. Endopylostomy

Correct answer: 2. Pyeloplasty

Explanation: Pyeloplasty